Which of the following is not used in treatment of klebsiella?
1. Ceftazidime
2. Ciprofloxacin
3. Gentamicin
4. Erythromycin

Correct answer: 4. Erythromycin

Explanation: Ans: d (Erythromycin) Ref: KDT, 6th ed, p. 729, Harrison, p. 883Erythromycin has no action against klebsiellaCarbapenems are the most effective antibiotics against klebsiella.Other drugs effective against klebsiella are:Aminoglycosides,3rd and 4lh generation cephalosporins.FluoroquinolonesAmoxicillin + clavulanic acid combinations.